All are actions of HDL EXCEPT ?
1. Reverse transport of cholesterol to liver
2. Apolipoproteins storage
3. Transfer of malate into mitochondria
4. Esterification of cholesterol

Correct answer: 3. Transfer of malate into mitochondria

Explanation: Ans. is 'c' i.e., Transfer of malate into mitochondria HDL has following important function -Reservoir of apolipoproteins (apo C-II and apo E)Esterification of cholesterolReverse cholesterol transport from tissue to liverUptake of unesterified cholesterol